Treatment of choice for acute panic attacks is ?
1. Barbiturates
2. Benzodiazepines
3. TCAs
4. MAO inhibitors

Correct answer: 2. Benzodiazepines

Explanation: Ans. B. BenzodiazepinesDOC for Panic disorders - SSRI'sDOC for acute panic attack - Benzodiazepines.